Thalassaemia major manifests in-
1. Childhood
2. Puberty
3. Adolescence
4. Middle age

Correct answer: 1. Childhood

Explanation: Ans. is 'a' i.e., Childhood o Severe anemia manifests 6-9 months after birth, as hemoglobin synthesis switches from HbF to HbA.